'Thumb print' appearance on Barium enema is found in:
1. Volvulus
2. Gastric ulcer
3. Bowel ischemia
4. Intussusception

Correct answer: 3. Bowel ischemia

Explanation: Ans. C i.e. Bowel ischemia